Which of the following terms best describes the antagonism of leukotrienes bronchoconstrictor effect (mediated at a leukotriene receptor) by terputaline (acting at a adrenoceptor) in a patient with asthama
1. Pharmalogical antagonist
2. Partial agonist
3. Physiological antagonist
4. Chemical antagonist

Correct answer: 3. Physiological antagonist

Explanation: Ref-Katzung 10/e p16 Drugs producing opposite action by acting on different receptors are called psychological antagonist